Antimitotic drugs of plant source is/are?
1. Vincristine
2. Isotretinoin
3. Bleomycine
4. Methotraxate

Correct answer: 1. Vincristine

Explanation: Ans. is 'a' i.e., Vincristine